Cherry red spot is seen in –
1. Retinitis pigmentosa
2. Retinopathy of prematurity
3. Metachromatic leukodystrophy
4. CRV occlusion

Correct answer: 3. Metachromatic leukodystrophy

Explanation: Metachromatic leukodystrophy can cause cherry red spot.